Hydrocele and edema in foot occur in:
1. W. Bancrofti
2. B. Malayi
3. B. Timori
4. Oncocerca

Correct answer: 1. W. Bancrofti

Explanation: Ans. (a) W. Boncrofti